All of the following are the predisposing factors for squamous carcinoma of esophagus except
1. Achalasia
2. Tylosis palmaris
3. Alcohol
4. GERD

Correct answer: 4. GERD

Explanation: Risk factors for SCCTobacco and alcohol are strong risk factors for SCC, and they have a synergistic effect on risk. The disease is four times more prevalent in men, and race also appears to be a factorSCC is associated with certain intrinsic disorders of the esophagus, such as Plummer-Vinson syndrome and achalasia. Other hereditary cancer syndromes associated with esophageal SCC include tylosis and Fanconi anemia. Patients with a history of caustic ingestion are at significantly increased risk for SCC.Risk factors for AdenocarcinomaAdenocarcinoma typically arises in the setting of Barrett's esophagus. In addition to GERD, smoking and obesity are risk factors for adenocarcinomaSabiston 20e pg: 1052